Which of the following is associated with atherosclerosis ?
1. Chlamydia trachomatis
2. Chlamydia pneumonae
3. Chlamydia psittaci
4. Chlamydia gingivalis

Correct answer: 2. Chlamydia pneumonae

Explanation: Ans. is 'b' i.e., Chlamydia pneumonae o Epidemiologic studies have demonstrated an association between serologic evidence of C. pneumoniae infection and atherosclerotic disease of the coronary and other arteries.